Fishy odour syndrome which of the following is used in treatment
1. Biotin
2. Thiamine
3. Riboflavin
4. Vit. A

Correct answer: 3. Riboflavin

Explanation: Ref. Textbook of Biochemistry for Medical Students. Page. 467
 
Trimethylaminuria

Trimethylaminuria causes a strong body odour usually described as like rotting fish, faeces or garbage.
The odour is created when the body isn’t able to process trimethylamine.
This is a smelly chemical that’s produced in the gut, particularly when certain choline-rich foods are digested
It’s due to FMO3 gene defect
Riboflavin (vitamin B2) supplements to enhance any residual FMO3 enzyme activity.